Cornea verticillata is caused by
1. Erythromycin
2. Amiodarone
3. Timolol
4. Tetracycline

Correct answer: 2. Amiodarone

Explanation: Cornea verticillata: *This is a whorl-like opacity in the corneal epithelium seen in patients on long-term treatment with medication such as amiodarone, chloroquine, phenothiazines, and indomethacin. *It is also seen in patients with Fabry disease and its carrier state. *The condition is generally asymptomatic, harmless and reversible on stopping the drug. *The whorl-like pattern shows the direction of migration of corneal epithelial cells. *Occasionally the condition has been known to cause glare and surface discomfort which responds to topical lubricants. Cornea verticillata, also called vortex keratopathy or whorl keratopathy, is a condition characterised by corneal deposits at the level of the basal epithelium forming a faint golden-brown whorl pattern. It is seen in Fabry disease or in case of prolonged amiodarone intake Ref- Parson's; 21st edition; Pg No. 214